Ectopic ACTH production is seen in-
1. Small cell carcinoma is lung
2. Anaplastic carcinoma of lung
3. Squamous cell carcinoma of lung
4. Adenocarcinoma of cerebellum

Correct answer: 1. Small cell carcinoma is lung

Explanation: Reference :Robbins basic pathology 9th edition pg no 222:Cushing syn drome arising as a paraneoplastic phenomenon usually is related to ectopic production of ACTH or ACTHlike poly peptides by cancer cells, as occurs in small cell cancers of the lung